The rate-limiting step in the synthesis of cortisol is catalyzed by
1. 21-Hydroxylase
2. 3b-Hydroxysteroid dehydrogenase
3. Cholesterol side-chain cleavage enzyme
4. 11b-Hydroxylase

Correct answer: 3. Cholesterol side-chain cleavage enzyme

Explanation: The first and rate-limiting step in all steroid biosynthesis is catalyzed by cholesterol sidechain cleavage enzyme, resulting in pregnenolone and isocaproic acid.